Best marker for Cardiac events?
1. hsCRP
2. Homocysteine levels
3. Interleukin-6
4. P-selectin

Correct answer: 1. hsCRP

Explanation: ANSWER: (A) hsCRPREF: Braunwald 8th ed chapter 39Although hsCRP is by far the best-characterized and most reliable inflammatory biomarker for clinical use, several other markers of inflammation have shown promise in terms of predicting coronary vascular risk.These includeCytokines such as interleukin-6soluble forms of certain cell adhesion molecules such as intercellular adhesion molecule (sICAM-1)P-selectinMediator CD40 ligandMarkers of leukocyte activation such as myeloperoxidase.Other inflammatory markers associated with lipid oxidation such as lipoprotein-associated phospholipase A;, and pregnancy-associated plasma protein A have also shown promiseRelative risk of future cardiac events in Increasing order1) Lipoprotein(a)2) Homocysteine3) Interleukin-64) Total cholesterol5) Low-density lipoprotein (LDL) cholesterol6) Soluble intercellular adhesion molecule-1 (sICAM-1)7) Serum amyloid A8) Apolipoprotein B9) Ratio of total cholesterol to high-density lipoprotein cholesterol (TC:HDiq10) High-sensitivity C-reactive protein (hsCRP}11) Combination of hsCRP with the TOHDLC